Admission rate bias is -
1. Reporting bias
2. Response bias
3. Berksonian bias
4. None

Correct answer: 3. Berksonian bias

Explanation: A special type of bias is Berkesonian bias and is termed after Dr. Joseph Berkeson. The bias arises due to different types of admission to hospitals for people with different diseases. Ref: 25th edition, Park's Textbook of Preventive and Social Medicine, Page no. 81